Abnormal plasma choline esterase produces apnea due to which of the following?
1. Halothane
2. Lignocaine
3. Suxamethonium
4. Isoflurane

Correct answer: 3. Suxamethonium

Explanation: Ans. c (Suxamethonium). (Ref. KD Tripathi, Pharmacology 6th/ 355)Drugs Metabolized By Pseudocholinesterase##PropandidRemifentanyl- #Esmolol -(Mnemonic: PREM SE pseudocholinesterae)#Mivacuronium#Scoline (Suxamethonium) #Ester linked LA (except cocaine)-